All are true regarding diphtheria toxin except
1. Toxins blocks elongation of protein
2. Beta lysogenic strain produces toxin
3. Iron is critical for toxin production
4. Toxic is necessary for local wound infection

Correct answer: 4. Toxic is necessary for local wound infection

Explanation: Virulent strains of diphtheria bacilli produce a very powerful exotoxin. The pathogenic effects of the bacillus are due to the toxin. Almost all strains of gravis and intermedius are toxigenic. The toxin is extremely potent and the lethal dose for a 250 g guinea pig is 0.0001g. The toxin has a special affinity for certain tissues such as the myocardium, adrenals and nerve endings. Reference: Textbook of Microbiology; Anathanarayan and panicker's; 10th edition; Page no: 240